The operating temperature in an ethylene oxide sterilization during a warm cycle is-
1. 20-35degC
2. 49-63degC
3. 68-88degC
4. 92-110degC

Correct answer: 2. 49-63degC

Explanation: Ans. is 'b' i.e., 49-63degC Ethylene oxide . It is a colourless, inflammable gas and highly explosive. . CO2 or N2 decrease its explosive tendency and water vapour increases its efficacy. . It acts as an alkylating agent. . Ethylene oxide is typically used to sterilize moisture and heat sensitive instruments. . It is effective against all types of microorganisms including spores. . It is used for sterilizing? - Hea-lung machine - Books - Soil - Respirators - Clothing - Some food - Sutures - Glass - Tobacco - Dental equipment - Metal and paper surfaces . Ethylene oxide is unsuitable for fumigating room because it is explosive. . During ethylene oxide gas steriliation there are two types of cycle- i) cold cycle, ii) warm cycle . In ethylene oxide sterilization - Cold cycle operates at 37+- 5degC - Warm cycle operates at 54 +- 5degC . In these cycles the relative humidity is maintained at 40-50 % and ethylene oxide concentration is kept at 700mg/ litre.